A 30-year-old female undergoes pap smear. Her report shows presence of atypical squamous cells of unknown significance. HPV DNA testing shows infection with high risk HPV types. What is the next step in management?
1. Perform colposcopy
2. Perform cryotherapy
3. Perform LEEP
4. Repeat smear and HPV test in 1 year

Correct answer: 1. Perform colposcopy

Explanation: Ans. is a, i.e. Perform colposcopy.Management of ASCUSManagement of ASCUS|||Age of female <25 yearsAge of female >=25 years||Repeat pap smear in 1 yearsDo HPV DNA testing (Reflex HPV DNA testing)||If it is abnormalIf positive||Do colposcopyDo colposcopy